Competitive enzyme inhibition will cause:
1. Decrease of Km and increase of Vmax
2. Increase of Km and increase of Vmax
3. Decrease of Km and decrease of Vmax
4. Increase of Km and unchanged Vmax

Correct answer: 4. Increase of Km and unchanged Vmax